A 30-year-old male represents with numbness of both lower limbs and right upper limbs Examination reveals pulse 88/mm and BP 16/110 mmHg. He also has digital gangrene involving right 2nd and 3rd finger, urine routine examination is unremarkable. Microscopic examination show RBCs, hemogram and serum biochemistru is within normal limits.What is most probable diagnosis?
1. Systemic lupus erythematosis
2. Polyarteritis nodosa
3. Malignant hypertension
4. Chrug-Strauss syndrome

Correct answer: 2. Polyarteritis nodosa

Explanation: The probable diagnosis is Polyarteritis nodosa Polyarteritis nodosa has a peak incidence between the ages of 40 and 50, with a male-to-female ratio of 2 : 1. The annual incidence is about 2/1 000 000. Hepatitis B is an important risk factor and the incidence is 10 times higher in the Inuit of Alaska, in whom hepatitis B infection is endemic. Presentation is with fever, myalgia, arthralgia and weight loss, in combination with manifestations of multisystem disease. The most common skin lesions are palpable purpura , ulceration, infarction and livedo reticularis . Pathological changes comprise necrotising inflammation and vessel occlusion, and in 70% of patients arteritis of the vasa nervorum leads to neuropathy, which is typically symmetrical and affects both sensory and motor function. Severe hypertension and/or renal impairment may occur due to multiple renal infarctions but glomerulonephritis is rare (in contrast to microscopic polyangiitis). The diagnosis is confirmed by conventional or magnetic resonance angiography, which shows multiple aneurysms and smooth narrowing of mesenteric, hepatic or renal systems, or by muscle or sural nerve biopsy, which reveals the histological changes described above. Treatment is with high-dose glucocorticoids and immunosuppressants, as described for ANCA-associated vasculitis . Ref - Davidsons 23e p1042